Nerve fibres innervating sweat glands release the following at their ending
1. Noradrenaline
2. Acetycholine
3. Dopamine
4. Histamine

Correct answer: 2. Acetycholine

Explanation: Nerve fibres innervating sweat glands are cholinergic.Ref: Ganong's review of medical physiology 23rd edition Page no: 267